Not a selective serotonin reuptake inhibitor
1. Fluoxetine
2. Fluvoxamine
3. Buspirone
4. Citalopram

Correct answer: 3. Buspirone

Explanation: Ans:C-BuspironeBuspirone is in a class of medications called anti-anxiety medications.Buspirone is not related to other anti-anxiety medications, such as benzodiazepines, barbiturates or other sedative/ anxiolytic drugs.It is approved for the treatment of generalized anxiety disorder (GAD).